A 23 year old lady diagnosed with Bell's palsy comes on the 3rd day after the symptom development. What would be the treatment of choice?
1. Vitamin B + Vasodilators
2. Oral steroids + Acyclovir
3. Intratympanic steroids
4. Vitamin B + Oral steroids

Correct answer: 2. Oral steroids + Acyclovir

Explanation: Corticosteroids is the most common management for Bell's palsy. Patients with Bell's palsy are commonly treated with Antiviral agents in addition to prednisolone if presented early, although a definite proof of efficacy is lacking.